Tear drop sign is seen in ?
1. Fracture zygomatic arch
2. Fracture maxilla
3. Fracture mandible
4. Blow out fracture

Correct answer: 4. Blow out fracture

Explanation: Ans. is 'd' i.e., Blow out fracture Fractures of the floor of the orbit Zygomatic fracture and Le fo II maxillary fractures are always accompanied by fractures of orbital floor. Isolated fractures of orbital floor, when a large blunt object strikes the globe, are called "blow out fractures". Clinical features Ecchymosis of lid, conjunctiva and sclera. Endophthalmos with inferior displacement of the eye-ball. This becomes apparent when oedema subsides. Diplopia, which may be due to displacement of the eyeball or entrapment of inferior rectus and inferior oblique muscles. Hypoaesthesi a or anaesthesia of cheek and upper lip, if infraorbital nerve is involved. Diagnosis J Water's view show a convex opacity bulging into the antrum from above, i.e., Tear drop opacity. CT scan is diagnostic.